Afferent pathway of corneal reflex is by-
1. Trigeminal nerve
2. Facial nerve
3. Oculomotor nerve
4. Abducens

Correct answer: 1. Trigeminal nerve

Explanation: Ans. is 'a' i.e., Trigeminal nerve Corneal reflex* AFFERENT-the nasociliary branch of the ophthalmic branch (V1) of the 5th cranial nerve (trigeminal nerve) sensing the stimulus on the cornea, lid, or conjunctiva.* EFFERENT-the temporal and zygomatic branches of the facial nerve initiating the motor response* NUCLEUS-the centre in the pons of brain stem.